If there are 4 nucleotides instead of 3 in codon, how many amino acids may be formed
1. 4
2. 16
3. 21
4. 256

Correct answer: 4. 256

Explanation: Codons consisting of two nucleotides each could provide for only 16 (42) specific codons, whereas codons of three nucleotides could provide 64 (43) specific codons. Similarly codons with 4 nucleotides could provide 256(44) specific codons